How long can blood be stored with CPD-A ?
1. 21 days
2. 28 days
3. 35 days
4. 42 days

Correct answer: 3. 35 days

Explanation: Ans. is 'c' i.e., 35 days